The beta blocker having intrinsic sympathomimetic activity is:
1. Propranolol
2. Atenolol
3. Sotalol
4. Pindolol

Correct answer: 4. Pindolol